The Corynebacterium species which are lipophilic-
1. C. jeikeium and C. urealyticum
2. C. ulcerans and C. diphtheriae
3. C. hofmanni and C. diphtheriae
4. C. xerosis and C. ulcerans

Correct answer: 1. C. jeikeium and C. urealyticum

Explanation: C. jeikeium-causes bacteremia with high mortality rates in immunodeficient. C. urealyticum-causes UTI. Both are lipophilic.